A person is suffering from acquired immunodeficiency disease(AIDS) & visited the zoo. After some days, he is complaining of headache & cough. He has also have some neurological symptoms. On staining of CSF sample, it shows capsulated yeast. Likely infection is:
1. Histoplasma
2. Aspergillus
3. Cryptococcus
4. Blastomycosis

Correct answer: 3. Cryptococcus

Explanation: Ans: C, CryptococcusLike CNS disease, pulmonary cryptococcosis can follow an indolent course, and the majority of cases probably do not come to clinical attention.Pulmonary cryptococcosis can be associated with antecedent diseases such as malignancy, diabetes, and tuberculosis.Cryptococcus Infection can be acquired by inhalation of desiccated yeasts(or basidiospores) from feces of pigeon or other birdsDirect microscopic examination of India ink-stained wet films of material from lesions reveals capsulated, budding yeast cells; the capsule are prominent in the India ink preparatio